Stellate ganglion block is useful in-
1. Sudeck osteodystrophy
2. Compound palmar ganglion
3. Tenosynovitis
4. Osteoarthritis of first CMC joint

Correct answer: 1. Sudeck osteodystrophy

Explanation: Sympathetic nerve block is used in RSD :- Stellate ganglion block for upper extremity RSD and L1 - L3 block for lower extremity.